A child with intellectual disability and skin rash on cheeks underwent a CT scan. The diagnosis of the child is?
1. Tuberous sclerosis
2. Von Hippel Lindau
3. Sturge Weber syndrome
4. Ataxia telangiectasia

Correct answer: 1. Tuberous sclerosis

Explanation: In the image on the left adenoma sebaceum is present, which looks like extensive acne in a butterfly distribution. The CT scan head shows a big lesion obliterating the ventricular system. It is a sub-ependymal nodule seen in tuberous sclerosis. A point against Sturge Weber is the absence of cutaneous lesion of Port wine stain. VHL is associated with cerebellar hemangioblastoma.